During surgery transfusion reaction is manifested as – a) Hypothermiab) Hypotensionc) Bleedingd) Increased muscle movemente) Decreased respiratory rate
1. a
2. bc
3. ac
4. ad

Correct answer: 2. bc